Bacillus stearothermophilus is used as an indicator for-
1. Hot air oven
2. Radiation
3. Gas sterilization
4. Autoclaving

Correct answer: 4. Autoclaving

Explanation: Ans. is 'd' i.e., Autoclaving Type of SterilizationSpore used* Moist heat (autoclave)Bacillus stearothermophilus* Dry heat (hot air oven)Bacillius subtilis* Ionizing radiationBacillus pumilis* Gas sterilization (ethylene oxide)Bacillus subtilis* Plasma sterilizationBacillus stearothemophilus(Geobacillus stearothermophilus)